Human development index includes all except ?
1. Longevity
2. Knowledge
3. Income
4. Literacy rate

Correct answer: 4. Literacy rate

Explanation: Human development index HDI is a composite index combining indicators representing three dimensions. Longevity : Life expectancy at birth. Knowledge : Mean years of schooling (gross enrolment ratio) and expected year of schooling. Income : GNI Per Capita (In older editions of Park, it was GDP per capita instead of GNI per capita). Ref: Park 24th edition